Residual chlorine is detected by -
1. Horrock's test
2. Ortho-toluidine test
3. Chromatography
4. Polarimeter

Correct answer: 2. Ortho-toluidine test

Explanation: Residual chlorine is detected by, Ortho-toluidine test is used to determine both free and residual chlorine with speed and accuracy. It is done using ortho-toluidine dissolved in 10 per cent solution of hydrochloric acid. When added to water containing chlorine it turns yellow and its intensity varies with the concentration of the gas. Ortho-toluidine Arsenite test is used to determine free and residual chlorine separately. (PARK TB (25th edition pg 775)